Oxidative deamination is catalyzed by
1. Glutaminase
2. Glutamine synthase
3. Glutamate dehydrogenase
4. None of the above

Correct answer: 3. Glutamate dehydrogenase

Explanation: Oxidative Deamination of Glutamate Only liver mitochondria contains glutamate dehydrogenase (GDH) which deaminates glutamate to alpha-ketoglutarate plus ammonia. So, all amino acids are first transaminated to glutamate, which is then finally deaminated (transamination) Amino acids are deaminated at the rate of about 50 - 70 g per day. During the transamination reaction, the amino group of all other amino acids is funneled into glutamate. Hence, the glutamate dehydrogenase reaction is the final reaction which removes the amino group of all amino acids It needs NAD+ as co-enzyme. (NADP can also act as a coenzyme). It is an allosteric enzyme; it is activated by ADP and inhibited by GTP. The hydrolysis of glutamine also yields NH3 but this occurs mainly in the kidney where the NH4+ excretion is required for acid-base regulationRef: DM Vasudevan, Page no: 176